Which of the following factors do not result in increased risk of digitalis toxicity?
1. Hypomagnesemia
2. Hypercalcemia
3. Hyperkalemia
4. Renal failure

Correct answer: 3. Hyperkalemia

Explanation: Hyperkalemia